In a 50 kg adult, how much of fluid should be given in first 8 hours in second degree burns of 40%:
1. 2 liters
2. 4 liters
3. 8 liters
4. 6 liters

Correct answer: 2. 4 liters

Explanation: Ref. API Textbook of Medicine. Pg. 2010
 

The quantity of crystalloid needed for the adequate resuscitation is determined by
Parklands formula i.e 4ml/kg per % of TBSA burn (note that a number of formulas exist for calculating fluids needs during burn resuscitation, suggesting no one formula benefits all patients)
Half of the calculated fluid is given in the first 8hrs and half in next 16 hrs
Colloids are given in the next 24 hrs

 
Patients weight -50 kg , Total body surface area burnt -40%
so the amount of fluid required for the above patient ---> 4ml × 50 × 40= 8000ml
So, as half of the fluid given in the first 8 hrs and half in next 16 hrs
So, the amount of fluid to b given in first 8 hrs = total fluid required /2 = 8000/2 = 4000ml or 4 litres.